Sec 44 IPC defines:
1. Injury
2. Hurt
3. Grievous hurt
4. Assault

Correct answer: 1. Injury

Explanation: Ans. Injury